Which of the following does not cause Polyuria?
1. Interstitial nephritis
2. Hypokalemia
3. A.D.H insufficiency
4. Rhabdomyolysis

Correct answer: 4. Rhabdomyolysis

Explanation: Rhabdomyolysis leads to myoglobinuria which leads to blockage of tubules and thereby reduction of urine output. Interstitial nephritis is characterized by tubular damage leading to polyuria. Hypokalemic nephropathy in choice B and ADH insufficiency (diabetes insipidus) in choice C leads to Polyuria.